Usual presentation of cauda equina syndrome is
1. Sudden and unilateral
2. Gradual and bilateral
3. Sudden and bilateral
4. Gradual and unilateral

Correct answer: 4. Gradual and unilateral

Explanation: Conus medullaris syndrome is usually sudden and bilateral whereas cauda equina is grdual and unilateral.